NOT true for adenoid hypertrophy:
1. Mouth breathing is seen
2. High arched palate present
3. There is failure to thrive
4. CT scan should be done to assess size

Correct answer: 4. CT scan should be done to assess size

Explanation: Adenoid hypertrophy/ Enlarged adenoids It is the unusual growth ("hypertrophy") of the adenoid tonsil. Firstly described and adenoidectomy performed by the Danish physician Wilhelm Meyer (1824-1895) in Copenhagen in 1868. He described that a long term adenoid hypertrophy will cause an obstruction of the nasal airways. These will lead to a dentofacial growth anomaly that was defined as adenoid facies. There is very little lymphoid tissue in the nasopharynx of young babies; humans are born without substantial adenoids.